For a neonate with Threshold Retinopathy of prematurity, most appropriate Rx would be
1. Photocoagulation
2. Less O2 flow
3. Surgery
4. Antioxidants

Correct answer: 1. Photocoagulation

Explanation: If threshold disease is present, perform ablative surgery. Ablative therapy currently consists of cryotherapy or laser surgery to destroy the avascular areas of the retina. The average gestational age (GA) at which surgery is necessary is usually 37-40 weeks Figure : Retina of the right and left eye, showing borders of the three zones and clock hours used to describe the location and extent of retinopathy of prematurity. Reference : Khurana 6th edition page 214